The anopheles species most commonly found in coastal regions is -
1. Anopheles philippinensis
2. Anopheles stephensi
3. Anopheles fluviatilis
4. Anopheles minimus

Correct answer: 2. Anopheles stephensi

Explanation: Different Anopheles in different region: Anopheles philippines is found in the plains Anopheles fluviatilis found in the foothill regions Anopheles minimus found in foothill regions REFERENCE: PARK'S TEXTBOOK OF PREVENTIVE AND SOCIAL MEDICINE, 25TH EDITION, PG NO. 830